A 41 year old male complains of pain in lower right back tooth region. Intraoral examination reveals deep caries in relation to 47 and IOPA examination reveals deep dentinal caries not involving the pulp. Dentist excavates the caries and restored it with zinc oxide eugenol. Which of the following substance can be used to clean this cement from the instruments?
1. Essential oil
2. White rosin
3. Clove oil
4. Oil of orange

Correct answer: 4. Oil of orange

Explanation: MANIPULATION 
Powder/liquid system:
Powder/liquid ratio - 4:1 to 6:1 by weight.
The bottles are shaken gently. Measured quantity of powder and liquid is dispensed onto a cool glass slab. The bulk of the powder is incorporated into the liquid and spatulated thoroughly in a circular motion with a stiff bladed stainless steel spatula. Zinc oxide eugenol exhibits pseudothickening. Although it appears to thicken early during spatulation, further vigorous spatulation or stropping loosens the mix. Smaller increments are then added, until the mix is complete.
For temporary restorations, a thick putty-like consistency is recommended.
Oil of orange is used to clean eugenol cement from instruments.
Reference – Manappallil p; 101